Which one of the following helps in generating oxygen burst in the neurophils ?
1. NADPH oxidase
2. Sod (superoxide dismutase)
3. Catalase
4. Glutathione peroxidose

Correct answer: 1. NADPH oxidase

Explanation: . NADPH oxidase